During labor and delivery, a specific hormone causes uterine contractions. This hormone is produced in which one of the following anatomical locations?
1. Hypothalamus
2. Anterior pituitary
3. Posterior pituitary
4. Adrenal cortex

Correct answer: 1. Hypothalamus

Explanation: The hormone that causes uterine contraction is OT. OT (and VP) are produced in the hypothalamus, then stored in the posterior pituitary. The anterior pituitary produces PRL, LH, FSH, ACTH, GH, and TSH. The ovary produces progesterone and estrogen. The adrenal cortex produces cortisol.